"Wet Pillow Syndrome" is caused by
1. Imipramine
2. Bromocriptine
3. Clozapine
4. Amitryptaline

Correct answer: 3. Clozapine

Explanation: Clozapine can lead to sialorrhea or hypersalivation which is also called as "Wet pillow syndrome".